"Sharpened Pencil" appearance of mandibular condyle on radiograph indicates:
1. Osteoarthritis
2. Rheumatoid arthritis
3. Infectious arthritis
4. Juvenile arthritis

Correct answer: 2. Rheumatoid arthritis